Definite host of toxoplasma:
1. Man
2. Dog
3. Cat
4. Rat

Correct answer: 3. Cat

Explanation: Ans. c. Cat